Clinical feature of Bronchiestasis are all except -
1. Hemoptysis
2. Night sweats
3. Chest pain
4. Productive cough

Correct answer: 2. Night sweats

Explanation: Ans. is 'b' i.e., Night sweats o Bronchiectasis shares many clinical features with chronic obstructive pulmonary disease (COPD), including inflamed and easily collapsible airways, obstruction to airflow, and frequent office visits and hospitalizations,o Bronchiectasis is a structural abnormality characterized by abnormal dilation and distortion of the bronchial tree resulting in chronic obstructive lung disease.o The condition is typically the end result of variety of pathophysiological processes that renders the bronchial walls weakened, easily collapsable, chronically inflamed and plugged with mucus secretions.o Associated findings include atelectasis, emphysema, fibrous and hypertrophy of bronchial vasculature.o Cystic fibrosis is considered to be very important cause of bronchiectasis.o Bronchiectasis can be caused by a variety of disease processes other than cystic fibrosis most of which include some combination of bronchial obstruction and infection.o The type of disorders that cause bronchiectasis vary among populations and age groups. Infections and acquire causes are more common in adults and in adult nations wheres congenital anomalies of bronchie or immune systems are more prominent in children and in industrialized nations.Clinical featureso The classic clinical manifestations of bronchiectasis are cough and the daily production of mucopurulent and tenacious sputum lasting months to years. The older literature also described "dr\# bronchiectasis" with episodic hemoptysis and no sputum production, but this presentation is less common.o Other, less specific complaints include dyspnea, wheezing, and pleuritic chest pain.o Patients often report frequent bouts of "bronchitis'' requiring therapy with repeated courses of antibiotics.o There is generally a past history of repeated respiratory> tract infections over several years, although a single episode of severe bacterial pneumonia, pertussis, tuberculosis, and Mycoplasma infection can also result in bronchiectasis.BronchitisSymptomsPhysical findingo Productive cougho Crackleso Daily sputum productiono Wheezingo Dyspneao Digital clubbingo Rhinosinusitis o Hemoptysis o Recurrent pleurisy